A 22 weeks pregnant lady having exposure to rubella; what will be the management:
1. MMR vaccine should be given instantly
2. MMR vaccine should be given in 3rd trimester
3. Continue the pregnancy
4. MMR vaccine should be given during labor

Correct answer: 3. Continue the pregnancy

Explanation: Rubella is one of the most complete teratogens and sequelae of fetal infection are worst during organogenesis (1st Trimester), Pregnant women with rubella infection and a rash in first 1 weeks leads to fetal congenital infection in up to 90% cases Defects are rare after 20 weeks Rubella vaccination should be avoided 1 month before or during pregnancy bcoz the vaccine contains attenuated live virus.